Anteroposterior stability of the knee joint is maintained by:
1. Oblique popliteal ligament
2. Medial menisci
3. Cruciate ligaments
4. Medial collateral ligaments

Correct answer: 3. Cruciate ligaments

Explanation: Ans. C. Cruciate ligamentsThe cruciate ligaments of the knee are the anterior cruciate ligament (ACL) and the posterior cruciate ligament (PCL). These ligaments are two strong, rounded bands that extend from the head of the tibia to the intercondyloid notch of the femur. They cross each other like the limbs of an X. They maintain anteroposterior stability of the knee joint.